Health care made universally accessible to individuals and acceptable to them is called ?
1. Primary health care
2. Essential health care
3. Community health care
4. Social Medicine

Correct answer: 1. Primary health care

Explanation: Ans. is 'a' i.e., Primary health care o "Primary health care is essential health care made universally accessible to individuals and acceptable to them, through their fill participation and at a cost the community and country can afford".